Secondary amyloidosis is seen most commonly in
1. Actinomycosis
2. Tuberculosis
3. Rabies
4. Secondary Iues

Correct answer: 2. Tuberculosis